Tests of chicken pox-a) FAMAb) ELISAc) Widald) PCR
1. abd
2. bcd
3. abc
4. ab

Correct answer: 1. abd